Carcinoma Ex pleomorphic adenoma is
1. Malignant change of pleomorphic adenoma
2. Regrowth of pleomorphic adenoma after superficial parotidectomy due to inadquate removal
3. Painless condition
4. Slow and progressive growth of pleomorphic adenoma

Correct answer: 1. Malignant change of pleomorphic adenoma

Explanation: Carcinoma Ex pleomorphic Adenoma / Malignant mixed tumour

Malignant change of pleomorphic adenoma
Has rapid growth and painful
Leads to paraesthsia and facial weakness.